An IV drug abuser develops an aggressive form of nephrotic syndrome that does not respond to steroids. A renal biopsy is performed. Which of the following histological diagnoses will most likely be made from the biopsy tissue?
1. Focal segmental glomerulosclerosis
2. IgA nephropathy
3. Membranous glomerulonephritis
4. Membranoproliferative glomerulonephritis

Correct answer: 1. Focal segmental glomerulosclerosis

Explanation: Focal segmental glomerulosclerosis Associated with IV drug abuse and HIV nephropathy. Aggressive form of nephrotic syndrome Poor prognosis Non responsive to steroid therapy (called as 'collapsing variant').